An investigator wants to study the association between maternal intake of iron supplements (Yes or No) and incidence of low birth weight (< 2500 or > 2500) gms). He collects relevant data from 100 pregnant women as to the status of usage of iron supplements and the status of low birth weight in their newborns. The appropriate statistical test of hypothesis advised in this situation is
1. Paired – t-test
2. Unpaired or independent t-test
3. Chi – Square test
4. Analysis of variance

Correct answer: 3. Chi – Square test

Explanation: Here, an investigator wants to study the association between maternal intake of iron supplements (yes or No) and incidence of low birth weight (< 2500 or > 2500) gms), Thus, association is to be studied between 2 qualitative variables, i.e. status of usage of iron supplements and status of low birth weight in their newborns.
So, most appropriate test would be Chi – square test.